In reference to the mycoplasmas, the following are true except -
1. They are inhibited by penicillins
2. They can reproduce in cell free media
3. They have an affinity for mammalian cell membranes
4. They can pass through filters of 450 nm pore size

Correct answer: 1. They are inhibited by penicillins